A 25 years female presents with rubbery movable nodule in left breast during menstrual cycle. Most likely diagnosis is
1. Phylloides tumour
2. Fibroadenoma
3. Intraductal papilloma
4. Carcinoma of the breast

Correct answer: 2. Fibroadenoma

Explanation: B. i.e. (Fibroadenoma) (742- Basic pathology 8th)F1BRQ ADENOMA - common in young age 15-30 years of age* Solitary, discrete, freely mobile nodule with in the breast* They may enlarge late in the menstrual cycle and during pregnancy After menopause they may regres and calcify* Fibroadenomas almost never become malignant**PHYLLOIDES TUMOUR - Leaf-like gross appearance, 30-70 years of age, massive size distending the breast round to oval, bosselated* Phyllodes tumour resembles fibroadenoma except for enhanced stromal cellularity*** Most ominous change is the appearance of increased stromal cellularity with anaplasia and high mitotic activity, accompanied by rapid increase in size, usually with invasion of adjacent breast tissue by malignant stroma**INTRADUCTAL PAPILLOMA - neoplastic papillary growth within a duct, solitary, found within the principal lactiferous ducts or sinuses. Most common in 3 - 4 decades1. Appearance of serous or blood nipple discharge**2. Presence of a small sub areolar tumour a few millimeters in diameter3. Rarely nipple retractionInvasive lobular carcinoma - breast tumour is bilateral **